Maize are deficient in -
1. Typtophan
2. Threonine
3. Methionine
4. Leucine

Correct answer: 1. Typtophan

Explanation: The proteins of maize are deficient in tryptophan and lysine. REF. PARK'S TEXTBOOK OF PREVENTIVE AND SOCIAL MEDICAL 21ST EDITION. PAGE NO-627